O2-Hb dissociation curve is shifted to left by -
1. Acidosis
2. Hyperthermia
3. Increased P50
4. Fetal hemoglobin

Correct answer: 4. Fetal hemoglobin

Explanation: Ans. is 'd' i.e., Fetal hemoglobin "Fetal hemoglobin has considerably less affinity for 2, 3-DPG than does adult hemoglobin. In human blood, the affinity offetal hemoglobin for 2, 3-DPG is only about 40% that of adult hemoglobin. This makes fetal hemoglobin behave as if 2, 3-DPG levels are low; therefore, the oxygen dissociation curve is shifted to the left - Clinical physiology in childhoodOxveen dissociation curveShifted to rightShifted to lefto Decreased oxygen affinity to hemoglobino Increased P50o Increased oxygen delivery to tissueso Causes :# Decreased pH (Acidosis)# Increased temperature# Increased PCO2# Increased 2, 3 DPG (BPG)i) Growth hormone, Androgen, thyroid hormoneii) Exerciseiii) Tissue hypoxiaiv) High altitudev) Anemiavi) Alkalosisvii) Cyanotic CHDviii) Pregnancyix) Chemicals : Inosine, Pyruvate, PEP, phosphate# Sickle hemoglobin (HbS)o Increased oxygen affinity to hemoglobino Decreased P50o Decrease oxygen delivery to tissueso Causes :# Increased pH (alkalosis)# Decreased temperature# Decreased PCO2# Decreased 2,3 DPG (BPG):-Stored blood# Fetal hemoglobin (HbF)